Which of the following drugs is not suitable for management of essential tremors
1. Diazepam
2. Levodopa
3. Metoprolol
4. Propranolol

Correct answer: 2. Levodopa

Explanation: Essential tremors improve in about 50% of people with small amount of alcohol. Beta blockers and primidone and also diazepam can be given. But there is no use in giving levo dopa. Reference : Davidson, 23rd Edition, page no : 1115.